Randomisation is useful to eliminate ?
1. Observer bias
2. Confounding factors
3. Patient bias
4. Sampling bias

Correct answer: 2. Confounding factors

Explanation: Ans. is 'b' i.e., Confounding